Drug A, has Bioavailabity of 80% volume of distribution is 10 L, Calculate the loading dose to be given to achieve plasma concentration of 0.6 mg/L
1. 0.75 mg
2. 0.48 mg
3. 7.5 mg
4. 48 mg

Correct answer: 3. 7.5 mg